Ectopic pregnancy is common in :
1. Tuboplasty
2. Endometriosis
3. Copper T users
4. All

Correct answer: 4. All

Explanation: All